A child wart, ,aerated for small intes mass with intussusception and after f ,eration the tumor was diagnosed in histological sc,tion. Which is the most likely tumor associated
1. Carcinoid
2. Villous adenoma
3. Lymphoma
4. Smooth muscle tumor

Correct answer: 3. Lymphoma

Explanation: Ans. c. Lymphoma Most common tumor of small bowel in children is lymphoma, which can lead to intussusception Small-Bowel Neoplasm MC tumor of small bowel: Leiomyomadeg >AdenomaQ MC tumor of small bowel in children: LymphomaQ MC malignant tumor of small bowel: Carcinoid >AdenocarcinomaQ MC site of small bowel malignancy, carcinoids, lymphoma: IleumQ Lead Points in Intussusception: Approximately 5-10% of cases have a true pathologic lead point. The older the toddler, the more likely there will be a lead pointQ. MC lead point is Meckel's diverticulumQ Most common tumor of small bowel in children is lymphoma, which can lead to intussusception Other lead points include polyps (villous adenoma), the appendix, intestinal duplication, foreign bodies, and tumors such as hamartomas associated with Peutz-Jeghers syndrome.